In cholera epidemic which step should be first taken:
1. Vaccination to all individuals immediately
2. Primary chemoprophylaxis
3. Cure with tetracycline
4. Safe water supply and sanitation

Correct answer: 4. Safe water supply and sanitation

Explanation: Ans. (d) Safe water supply and sanitationRef K. Park 23rded. /232-33* Cholera is an acute diarrheal disease caused by Vibrio cholerae.* I.P.-1-2 days* First step in epidemic of cholera: Verification of diagnosis* First line treatment of choice: water and electrolyte replacement.* In the given question, safe water supply and sanitation should be the 1st step to decrease mortality from cholera.Also know* Stool appearance of cholera: "Rice watery stool* Chemoprophylaxis of cholera: Tetracycline 500mg BID for 5 days.* Drug of choice for cholera:# Adults: Doxycycline 300 mg stat.# Children: Cotrimoxazole 5mg/kg BID for 3 days# Pregnant female: Furazolidone 100mg QID for 3 days.